There are some undesirable but unavoidable pharmacodynamic effects of a drug, which are known as:
1. Toxic effects
2. Idiosyncrasy
3. Side effects
4. Intolerance

Correct answer: 3. Side effects